False about Varicocele is?
1. Dilated pampiniform plexus veins
2. More common on right side
3. Doppler USG is best investigation
4. Abnormality increases on Valsalva

Correct answer: 2. More common on right side

Explanation: Ans BVaricocele - The left testicle is affected much more commonly ([?]85%) than the right. This may be due to the shorter course of the right testicular vein and its oblique insertion into the IVC which creates less backpressure. Isolated right varicoceles are rare and should prompt evaluation for a secondary varicocele.